Acute attack of gout patient came with non tolerance to NSAIDS, which drug to be given -
1. Allopurinol
2. Steroid
3. Probenecid
4. Febuxostat

Correct answer: 2. Steroid